Prolonged testosterone treatment to a man results in:
1. Increased spermatogenesis
2. Increased sperm motility
3. Azoospermia
4. Increased gonadotropins

Correct answer: 3. Azoospermia